True about Egg:-
1. NPU is 70
2. Rich in all vitamin including vitamin C
3. 60 gm of egg contain 6 gm protein, 6 gm fat, 30 mg calcium
4. Deficient in essential amino acids

Correct answer: 3. 60 gm of egg contain 6 gm protein, 6 gm fat, 30 mg calcium

Explanation: EGG: NPU of egg is 96. Egg is poor in carbohydrates and vitamin C. A 60 gm Egg contains 6 gm proteins, 6 gm fat, 30 mg calcium, 1.5 mg iron, 250 mg cholesterol and 70 Kcal energy. Contains all essential amino acids in correct proportions.